Tetanus is caused by
1. Clostridium perfringens
2. Clostridium tetani
3. Staphylococcus aureus
4. Bacillus cereus

Correct answer: 2. Clostridium tetani

Explanation: Tetanus is caused by Clostridium tetani. It produces two toxins: tetanolysin and tetanospasmin. Tetanospasmin is responsible for tetanus. Tetanus is characterized by tonic muscular spasms usually commencing at the site of infection later become generalized, involving the whole of the somatic muscular system. Reference: Textbook of Microbiology; Anathanarayan and paniker's; 10th edition; Page no: 265